Which muscle relaxant increases intracranial pressure ?
1. Mivacurium
2. Atracurium
3. Suxamethonium
4. Vecuronium

Correct answer: 3. Suxamethonium

Explanation: Succinylcholine increase ICT, IOT and intra-abdominal (intragastric pressure).